Most common location of peptic ulcer is -
1. 1st part of duodenum
2. Lesser curvature of stomac
3. Gastric antrum
4. At gastro-esophagal junction

Correct answer: 1. 1st part of duodenum

Explanation: Ans. is 'a' i.e., 1st part of duodenum Peptic ulcers are located in the following sites, in order of decreasing frequency (Robbins 7/e)1. Duodenum, 1st portion2. Stomach, usually antrum3. At the gastro - esophageal junction, in the setting of gastroesophageal reflux or Barrett's esophagus4. Within the margins of a gastrojejunostomy5. In the duodenum, stomach or jejunum of patients with Zollinger-Ellison Syndrome6. Within or adjacent to Meckels diverticulum that contains ectopic gastric mucosa